Linitus plastic is the type of -
1. Gall bladder cancer
2. Stomach cancer
3. Pancreac cancer
4. Renal cell cancer

Correct answer: 2. Stomach cancer

Explanation: Stomach cancer  Ca stomach may be divided into five morphological subtypes, that correlate loosely with the natural history and outcome.

Ulcerang Ca
Polypoidal Ca
Superficial spreading Ca Also known as early gastric cancer, superficial ca is confined to mucosa and submucosa.
These cancers have an excellent prognosis (-90% 5-year survival rate) are resection 4 Lins plasma or Scirrhous Ca These tumors infiltrate the entire thickness of the stomach and cover a very large surface area, commonly involve the entire stomach. The marked desmoplastic reason is noted, the stomach loses its pliability. It has the worst prognosis of all types as the spread is early.
Advanced carcinoma This largest category' contains the big tumors that are found partly within and partly outside the stomach.

They may originally have qualified for inclusion in one of the preceding groups but have outgrown that early stage